Sodium content of one liter of isotonic saline is:
1. 130 mEq
2. 154 mEq
3. 40 mEq
4. 70 mEq

Correct answer: 2. 154 mEq